Obstetric care will mostly affect:
1. Infant mortality rate
2. Early neonatal mortality rate
3. Late neonatal mortality rate
4. Perinatal mortality rate

Correct answer: 4. Perinatal mortality rate

Explanation: Ans. (d) Perinatal mortality rateRef.: K. Park 23rd ed. / 563-64* Perinatal period is from 28th week age of gestation to 7th day of newborn life.* Perinatal mortality rate includes late fetal deaths and early neonatal deaths.* A better obstetric care will be able to diagnose any fetal stress which will result in early intervention, which will certainly help in delivering a healthy baby.* Therefore an obstetric will mostly affect Perinatal mortality rate.